In a case of neonatal meningitis, the etiologic bacteria was found to have properties of 13-hemolysis, bacitracin resistance, CAMP positive. Which of the following is most likely causative agent?
1. S. pyogenes
2. S. agalactiae
3. S. pneumoniae
4. E. faecalis

Correct answer: 2. S. agalactiae

Explanation: Ans. (b) S. agalactiae S. agalactiae is the MC cause of neonatal meningitis in west. It does not hydrolyse bile esculin agar, however hydrolyse sodium hippurate and are bacitracin resistant. Identified by CAMP (Christie, Atkins and Munch - Peterson) reaction. In infant it cause 2 type of infection : a. Early Onset : - More common, acquired from maternal vagina during birth. - Essentially all infants are bacteremic presenting with lethargy, respiratory distress and hypotension. b. Late Onset Infection : - Infection more often obtained from environment. Meningitis is the MC manifestation and most cases are associated with strain capsular type III. Other Group B infections in neonates include arthritis, osteomyelitis, conjunctivitis, peritonitis, omphalitis, and endocarditis. Adult infection include puerperal sepsis and pneumonia. Treatment: Penicillin is DOC for all group B streptococcal infection.